Diverticulum most common site is-
1. Sigmoid colon
2. Ileum
3. Ascending colon
4. Transverse colon

Correct answer: 1. Sigmoid colon

Explanation: Ans. is 'a' i.e.? Sigmoid colon [Ref: Sabision 18th/e p. 1365}o The sigmoid colon is the segment of large bowel with the highest incidence of diverticula, and is by far the most frequent site for involvement with diverticulitis.